Investigation of choice in hirschsprug's disease is -
1. Rectal manometry
2. Rectal examination
3. Rectal biopsy
4. Ba enema

Correct answer: 3. Rectal biopsy

Explanation: Definitive diagnosis is made by rectal biopsy. The histopathology of Hirschprung's disease is the absence of ganglion cells in the nerve plexus, presence of hypertrophied nerve bundles and increased acetykholinesterase-positive nerve fibres.